The wavelength of the excimer laser used for corneal refractive surgery is
1. 190nm
2. 191 nm
3. 193 nm
4. 195 nm

Correct answer: 3. 193 nm

Explanation: All clinical excimer lasers use are argon-fluorine (ArF) gas. The wavelength is in the UV region (193 nm), which has been determined to be safe for human ocular use.Therapeutic applications of excimer lasers are: photorefractive keratectomy (PRK), laser-assisted in-situ keratomileusis (LASIK) for correction of refractive errors and phototherapeutic keratectomy (PTK) for corneal diseases such as band-shaped keratopathyRef: Khurana; 4th ed; Page no: 431